Layer of non-pigmented epithelium of the ciliary body is the forward continuation of the:
1. Pigment epithelium of the retina
2. Sensory retina
3. Internal limiting membrane of the retina
4. Bruch's membrane of the choroid

Correct answer: 2. Sensory retina

Explanation: Ans. Sensory retina